Normal splanchnic blood supply of the liver includes?
1. Portal vein
2. Splenic artery
3. Superior mesenteric artery
4. Inferior mesenteric vein

Correct answer: 1. Portal vein

Explanation: Ans. is'a'i.e., Portal vein(Ref, Gray's 4F/e p. 1163-1167)Liver has dual blood supply and receives 20% of its blood supply hepatic artery (systemic) and 80% through portal vein (splanchnic).Portal vein is formed by union of splenic vein and superior mesenteric veins.